The vertical dimension when the mandible and muscles involved are in physiological function of speech is called as:
1. Closest speaking space.
2. Freeway space.
3. Vertical dimension.
4. None.

Correct answer: 1. Closest speaking space.